True regarding blood coagulation is
1. Addition of Vitamin-K to the freshly drawn blood sample delays clotting
2. Thrombin converts fibrin to fibrinogen
3. Heparin inhibits blood coagulation by interfering with Vitamin K metabolism in the liver
4. Platelet is essential for blood clot formation

Correct answer: 4. Platelet is essential for blood clot formation

Explanation: . Platelet is essential for blood clot formation